All of the following is true about basal cell carcinoma except
1. most common site is upper eyelid
2. locally invasive
3. rarely metastasizes
4. associated with exposure to sun

Correct answer: 1. most common site is upper eyelid